Ureter derives its blood supply from-a) Renal arteryb) Gonadal vesselc) Common iliac arteryd) Inferior vesical arterye) Superior mesenteric artery
1. abc
2. acd
3. abcd
4. abd

Correct answer: 3. abcd

Explanation: Blood supply of ureter

Upper part:- It is mainly supplied by the renal artery. It may also receive branches from gonadal or colic vessels.
Middle part:- It receives branches from the aorta. It may also receive branches from gonadal or iliac vessels.
The lower part (pelvic part):- It is supplied by branches from the vesical, middle rectal or uterine vessels.